Schiller duval bodies seen in:
1. Endodermal sinus tumour
2. Embryonal carcinoma
3. Dermoid cyst
4. Brenner tumour

Correct answer: 1. Endodermal sinus tumour

Explanation: Ans: A (Endodermal sinus tumour) Ref: Dm to Textbook of Gynecology 5th edition pg.368Explanation:* Schiller duval bodies are characteristic histological feature of endodermal sinus tumour.They are tuft of vascular tissue inside cystic spaces lined by flattened epithelium.ENDODERMAL SINUS TUMOUROriginate from multipotential embryonal tissue as a result of selective differentiation of yolk sac structuresPeak - 15 to 20 years of ageSecond most common malignant germ cell tumour of ovaryUnilateral, solid. >10 cms diameterMicro-schiller duval bodies, eosinophilic hyaline bodies containing alphaproteinAssociated with dysgerminomaTreatment- surgical staging and unilateral salpingo oophenectomyCombination chemotherapy - POMB-ACE regimen (cyclophosphamide, vincristine, methotrexate, bleomycin, actinomycin D, cisplatin. etoposide) VAC regimen. VBP regimenTumor marker- alphafetoprotein >20 microgm/ml. Elevated alpha 1 antitrypsinRespond well to chemotherapy and good survival rate